Sulfonamides inhibit bacterial synthesis of folic acid by:
1. Uncompetitive inhibition.
2. Allosteric inhibition.
3. Competitive inhibition.
4. Non competitive inhibition.

Correct answer: 3. Competitive inhibition.